A 27-year-old woman requests a mammogram because both her mother and sister died of metastatic breast cancer before 40 years of age. Which of the following would add to this patient's risk factors for breast cancer?
1. Multiparity
2. High-fiber diet
3. Oral contraceptive use
4. BRCA1 mutation

Correct answer: 4. BRCA1 mutation

Explanation: Concern over familial breast cancer is well warranted in this patient, with two first-degree relatives dying of breast cancer at an early age. Both BRCA1 and BRCA2 mutations are major risk factors for the development of breast cancer. Other risk factors:- First pregnancy after 30 years of age Early menarche Late menopause DIET:-High-fat diet & not a high-fiber diet There is no evidence to support that either oral contraceptive use or fibroadenoma is a risk factor for breast cancer.